In indirect larynogscopy not seen is -
1. Base of tongue
2. Pyriform fossa
3. Glottis
4. Sub glottis

Correct answer: 4. Sub glottis